Which of the following is not seen in MEN1?
1. Posterior pituitary tumors
2. Foregut carcinoids
3. Parathyroid hyperplasia
4. Pancreatic neuroendocrine tumors

Correct answer: 1. Posterior pituitary tumors

Explanation: Features of Multiple Endocrine Neoplasia (11q l3)/Intron 4 ss : Parathyroid adenoma (90%)- Most common presentation. Entero-pancreatic tumours- Most common is gastrinoma and least common is V.I.Poma in MEN1. Pituitary adenoma- most common is Prolactinoma and least common is non-functioning adenoma in MEN1. Associated tumours. Adrenal cortical tumour. Neuroendocrine tumours- thymus, lungs (Foregut derivatives include bronchus and thymus and hence choice B is correct). Lipoma Angiofibroma -Most common skin manifestation in MEN 1 (Angiofibroma>collagenoma) Brain tumour -meningioma Pheochromocytoma (<1%)